\r\nA man found dead in suspicious situation. Injuries are seen all over the body. Antemortem injury is characterized by all, EXCEPT:\r\n
1. Wound gaping
2. Arterial bleeding
3. Vital reaction present
4. Diminished enzyme activity

Correct answer: 4. Diminished enzyme activity

Explanation: Difference between ante-mortem and post-mortem wounds: Trait Ante-mortem wounds Post-mortem wounds Edges The edges are swollen, everted, retracted, and wound gapes. Edges do not gape, but are closely approximated. Haemorrhage Abundant and usually arterial. Slight or more and venous Spurting Signs of spurting of arterial blood on the body, clothing or in its vicinity present. No spurting of the blood Extravasation Staining of the edges of the wound and extravasation in neighbouring subcutaneous and interstitial tissues which cannot be removed by washing. Edges and cellular tissues are not deeply stained. The stain can be removed by washing. Coagulation Firmly coagulated blood in wounds and tissues present. No clotting or soft clott Vital reaction Signs of vital reaction present. No signs of vital reaction Enzyme histochemistry Increased activity of esterases, adenosine triphosphate, aminopeptidases, acid and alkaline phosphatase Diminished or no enzyme activity Ref: The Essentials of Forensic Medicine and Toxicology by Dr. K. S. Narayan Reddy, 27th edition, Page 273.